The indicator of active multiplication of Hepatitis B virus is -
1. HbsAg
2. HbcAg
3. HbeAg
4. None of the above

Correct answer: 3. HbeAg

Explanation: HBeAg reflects active multiplication of the virus in the liver Davidson page 952